In children median diastema between maxillary permanent centrals closes with the eruption of
1. Maxillary permanent first premolar
2. Maxillary permanent central incisor
3. Maxillary permanent canines
4. Maxillary permanent second molars

Correct answer: 3. Maxillary permanent canines